Endotoxin consists of _____.
1. Lipopolysaccharide
2. M protein
3. Hyaluronidase
4. Lactic acid

Correct answer: 1. Lipopolysaccharide

Explanation: Endotoxin or lipopolysaccharide is found in the cell walls of gram-negative bacteria.